Which statement is true regarding pneumothorax?
1. Absent breath sounds
2. Decreased percussion note
3. Always needs chest tube insertion
4. Tracheal tug

Correct answer: 1. Absent breath sounds

Explanation: Tracheal tug is an abnormal downward movement of the trachea during systole that indicates an aneurysm of the aortic arch. Pneumothorax shows hyper-resonance to percussion, and absent breath sounds Tension pneumothorax must be treated as a medical emergency. A large-bore needle should be inserted into the pleural space through the second anterior intercostal space. If large amounts of gas escape from the needle after insertion, the diagnosis is confirmed. The needle should be left in place until a thoracostomy tube can be inserted.